Epidemic hemorrhagic conjuctivitis is caused by -
1. HSV
2. HZV
3. HIV
4. Picorna virus

Correct answer: 4. Picorna virus

Explanation: Ans. is 'd' i.e., Picornavirus